A patient is brought to the casualty in the state of altered sensorium. He was on lithium treatment for affective disorder and has suffered through an attack of epileptic fits. On examination he has worsening tremors, increased DTR's and incontinence of urine. He has also undergone an episode of severe gastroenteritis 2 days ago. The probable cause for his present state is:
1. Lithium toxicity
2. Dehydration
3. Manic episode
4. Depressive stupor

Correct answer: 1. Lithium toxicity

Explanation: The lithium toxicity may present with tremors, increased reflexes and seizures. Lithium toxicity Dehydration, low sodium diet, renal impairment- precipitates lithium toxicity Narrow therapeutic index(>1.5 mEq/dL) GI symptoms- Abdominal pain, vomiting CNS: -Coarse tremors, ataxia, dysarthria , Muscle fasciculations, increased DTR, convulsions, impaired consciousness, death Management of lithium Toxicity 1. Stop the drug. 2. Correct dehydration 3. Use of sodium polystyrene sulfonate or polyethylene glycol (to remove unabsorbed lithium from GI) 4. Hemodialysis (in severe cases) Acute mania - 1.0- 1.5 mEq/dL Maintenance treatment - 0.6 - 1.2 mEq/dL Toxicity >1.5 mEq/dL